Drugs used in the treatment of pruritus in PBC
1. Rifampicin
2. Naltrexone
3. Cholestyramine
4. All of the above

Correct answer: 4. All of the above